Leptomeninges is formed by:
1. Dura mater and Arachnoid
2. Arachnoid and pia mater
3. Dura and pia mater
4. Dura, arachnoid and pia matter

Correct answer: 2. Arachnoid and pia mater

Explanation: Ans. B Arachnoid and pia materRef: Netter's Clinical Anatomy, 3rd ed. pg. 25* Meninx implies all three layers--dura, arachnoid and inner pia matter.* The dura mater is called pachymeninx.* The middle arachnoid and inner pia matter is called as leptomeninges.* The arachnoid does not follow the convolutions of brain and looks like a loose fitting sac. Multiple arachnoid granulations pass through subarachnoid space and blends with pia matter.